Which of the following is the equivalent of pribnow box in eukaryotes?
1. Hogness box
2. GC box
3. CAAT box
4. None

Correct answer: 1. Hogness box

Explanation: Prokaryotic promoter site Eukaryotic promoter site Pribnow box 10 base pairs TATAAT Hogness box : 25 base pairs TATA TTGACA 35 base pairs CAAT box 75 base pairs GGNCAATCT